Aplastic anemia is a side effect of which antiepileptic medication?
1. Valproic acid
2. Carbamazepine
3. Gabapentin
4. Lamotrigine

Correct answer: 2. Carbamazepine

Explanation: Carbamazepine may lead to aplastic anemia. Ref: Harrisons principles of internal medicine, 18 th edition, Page: 3263, Table: 369/9